C-l and C-2 can be best visualized by:
1. A-P view
2. Lateral view
3. Oblique view
4. Odontoid view

Correct answer: 4. Odontoid view

Explanation: Ans is 'd' i.e. Odontoid view "The lateral cervical spine x-ray is perhaps the single most important radiological study that can be obtained during an emergency evaluation, with the single exception of the admission chest x-ray to rule out major intrathoracic life- threatening injury. The next most important cervical spine x-ray is the odontoid view for assessment of the craniocervical junction; lateral cervical spine x-rays can miss nondisplaced fractures in this area."- Handbook of head and spine trauma By Jonathan Greenberg 1/e p428The odontoid view is an AP view taken with the patient supine and his or her mouth open. The beam is directed into the open mouth toward the pharynx, and the film is placed posterior to the patient's cervical spine. The odontoid view is also called the "open-mouth" view because the patient's mouth is opened to move the maxilla, mandible, and teeth out of the way of the x-ray beam. This unique view is designed to demonstrate the odontoid and lateral masses of Cl.Also Know:Best view to visualize C7 and T1 Swimmers view